Action of intramedullary 'K' nail is -
1. Two-point fixation
2. Three-point fixation
3. Compression
4. Weight concentration

Correct answer: 2. Three-point fixation

Explanation: Kuntsher's clover leaf intra medullary nail (K nail). Fixation of the K nail is based on 3 point fixation. It fixes bone at 3 points, at either ends and at isthmus. REF:Essential orthopaedics- 5th edn- pg no 373.